Echinococcus granulosus are commonly seen in which of the given animals:
1. Dog
2. Cat
3. Fox
4. Pig

Correct answer: 1. Dog

Explanation: Ans. a. DogRef: Jawetzs Medical Microbiology 27th Ed; Page No-727 &736E. granulosus is a small, three-segmented tapeworm found only in the intestine of dogs and other canids.It is called as dog tapeworm.E. granulosus eggs are morphologically similar to Taenia eggs, consists of an oncosphere with six hooklets surrounded by an embryophore.The larva of E. granulosus is called a hydatid cyst. It is unilocular, sub spherical, shape and size varies from few millimeters to more than 30 cm. (Usually 5-8 cm). It appears as fluid filled bladder like cyst.E. granulosus: IH: herbivores; rare: humans DH: carnivores in sheep-raising areas. Definitive host = adult tapeworm develops in; intermediate host=cysticerci or larvae develop in; cysticerci=encysted larvae found in intermediate host. Common name is in parentheses.Parasite/Disease: Echinococcus granulosus (larval)/Hydatid disease, hydatid cystSite of infection: Hydatid cyst in liver, spleen, lungs, brain, peritoneumMechanism of infection: Contact with dogs, foxes, other canids; eggs from fecesDiagnosis: CT scans, MRI, X-rays, serologyTreatment: Albendazole, surgical removalGeographic Area: Worldwide, especially sheep-raising area